False about acute tubular necrosis
1. BUN/Creat>20
2. Una > 40
3. FeNa > 2%
4. Ucr/Pcr<40

Correct answer: 1. BUN/Creat>20

Explanation: BUN/Creat  < 20 in ATN.
BUN/Creat  > 20 in pre-renal failure.